In pneumatic dilatation for the treatment of achalasia, the cylindrical balloon dilator is dilated upto:
1. 1-2 cm
2. 2-3cm
3. 3-4 cm
4. 5-6 cm

Correct answer: 3. 3-4 cm

Explanation: The only effective therapies for achalasia are pneumatic dilatation and Heller myotomy. Pneumatic dilatation - Efficacy is 32-98%, The cylindrical balloon dilator is positioned across the LES and inflated to a diameter of 3-4 cm. The major complication is perforation Also note: The most common surgical procedure for achalasia is laparoscopic Heller myotomy, usually performed with an antireflux procedure (partial fundoplication). Ref: Harrison, Edition-18, Page-2432